True statement is :
1. Osteoblasts gives rise to osteocytes
2. Growth of bone occurs at diaphysis
3. Epiphysis is present between metaphysis and diaphysis
4. Interphalangeal joint is a saddle joint

Correct answer: 1. Osteoblasts gives rise to osteocytes

Explanation: A i.e. Osteoblasts give rise to osteocyte